Which of the following is Non - opioid intravenous anaesthetic agent?
1. Tramadol
2. Pethidine
3. Fentanyl
4. Ketamine

Correct answer: 4. Ketamine

Explanation: Intravenous anaesthetic agents divided into two group- Opioids Non opioids Morphine Barbiturates Fentanyl Benzodiazepine Sufentanyl Ketamine Tramadol Etomidate and propofol The most potent opioid issufentanil